Which of the following is true about typical absence seizures?
1. Long term lapse in conciousness
2. Profound post ictal confusion
3. Hyperventilation provokes absence seizures
4. Absence seizures originate after 40 yrs of age

Correct answer: 3. Hyperventilation provokes absence seizures

Explanation: Answer- C. Hyperventilation provokes absence seizuresTypical absence seizures are characterized by sudden, brief lapses of consciousness without loss of postural control.The seizure typically lasts for only seconds, consciousness returns as suddenly as it was lost, and there is no post ictal confusion.Typical absence seizures are associated with a group of genetically determined epilepsies with onset usually in childhood (ages 4-8 years) or early adolescence.Hyperventilation tends to provoke these electrographic discharges and even the seizures themselves and is routinely used when recording the EEG.